Which of the following mosquitoes is involved in the spread of Japanese encephalitis?
1. Aedes
2. Anopheles
3. Culex
4. Mansonoides

Correct answer: 3. Culex

Explanation: Vector Diseases transmitted Culex Bancroftian filariasis JE West Nile Fever Anopheles Malaria Filaria (outside India) Aedes Yellow fever Dengue Chikungunya Rift Valley Fever Mansonia Brugian filariasis and Chikungunya PARK'S TEXTBOOK OF PREVENTIVE AND SOCIAL MEDICINE, 25TH EDITION, PG NO. 832